A 16 year old boy developed weakness of flexion at elbow and loss of sensation over the lateral aspect of forearm. On examination he has an anterior dislocation of the shoulder.Which nerve is involved?
1. Radial nerve
2. Musculocutaneous nerve
3. Axillary nerve
4. Ulnar nerve

Correct answer: 2. Musculocutaneous nerve

Explanation: The symptoms in this scenario suggest an injury to the musculocutaneous nerve. Ref: Conservative Management of Sports Injuries By Thomas E. Hyde, Marianne S. Gengenbach, 2007, Page 516